A man not able to digest carbohydrate will be deficient in
1. Lipase
2. Amylase
3. Pepsin
4. Trypsin

Correct answer: 2. Amylase

Explanation: Amylase helps in digestion of carbohydrates Ref: guyton and hall textbook of medical physiology 12 edition page number: 426,427,428